Triage in casuality is done for:
1. Prevention of such casualities
2. Treating patients
3. Case segregation
4. Predicting after effects of casuality

Correct answer: 3. Case segregation

Explanation: Ans. C: Case segregation Triage is a process of prioritizing patients based on the severity of their condition. This ensures patient treatment efficiently when resources are insufficient for all to be treated imrnediately. Two types of triage exist: simple and advanced. of emergencyThe outcome may result in determining the order and priority treatment, the order and priority of emergency transport, or the transport destination for the patient, based upon the special needs of the patient or the balancing of patient distribution in a mass-casualty setting.